Noninvasive diarrhea can be caused by the following?
1. Shigella
2. B. cereus
3. Salmonella
4. Y. enterocolitica

Correct answer: 2. B. cereus

Explanation: Ans. (b) Bacillus cereus Diarrhea of B. cereus is mediated by enterotoxin which resemble E. coli LT. The incubation period is 8-16 hours. Bacteria causing invasive diarrhea Shigella Salmonella Enteroinvasive E. coli Campylobacter jejuni